Formication and delusion of persecution occurs together in intoxication with which of the following?
1. Cocaine
2. Amphetamine
3. Cannabis
4. LSD

Correct answer: 1. Cocaine

Explanation: Formication is a type of tactile hallucination, in which patient feels that insects or bugs are crawling under his skin. Such type of hallucination is seen in case of cocaine intoxication (cocaine bugs). Delusions of persecution can be seen in cannabis, amphetamine as well as cocaine intoxication or psychosis induced by these substances. A combination of formication and delusion of persecution is seen in cocaine abuse.